The following may be the example of privilaged communication except :
1. An impotent person marrying
2. A syphilitic taking bath in a public pool
3. Engine driver found to be coloured blind
4. Pilot having hypermetropia

Correct answer: 1. An impotent person marrying

Explanation: A i.e. An impotent person marrying Professional confidentiality (secrecy) exists between doctor and patientQ while privileged communication is an exception to the general rule of professional secrecy between doctor & patient and is made between doctor and concerned authorityQ who has corresponding legal, social and moral duties to protect the interests of community or the state.